Diffuse hyperpigmentation is seen in all except:
1. Addison's disease
2. Cushings syndrome
3. Porphyria cutanea tarda
4. Phenylketonuria

Correct answer: 4. Phenylketonuria

Explanation: Ans. D: Phenylketonuria Common causes of diffuse hyperpigmentation: Addison's disease Porphyria cutanea tarda Cushing's syndrome Hemochromatosis Phaeochromocytoma Biliary cirrhosis High dose ACTH therapy Phenylketonuria results in hypopigmentation